All of the following are tumor necrosis factor
1. Adalimumab
2. Etanercept
3. Infliximab
4. Abciximab

Correct answer: 4. Abciximab

Explanation: Abciximab is a Fab fragment of the chimeric human-murine monoclonal antibody 7E3. Abciximab binds to the glycoprotein (GP) IIb/IIIa receptor of human platelets and inhibits platelet aggregation by preventing the binding of fibrinogen, von Willebrand factor, and other adhesive molecules Ref Davidson 23rd edition pg 946